Dimensional stability of hydrocolloid impressions may be achieved by:
1. Using less water powder ratio
2. Storing the impression under water
3. Prolonged manipulation
4. Using humidor

Correct answer: 4. Using humidor